Which is NOT an AIDS related complex?
1. Ectopic pregnancy
2. Recurrent genital candidiasis
3. Generalised lymphadenopathy
4. Chronic diarrhea

Correct answer: 1. Ectopic pregnancy

Explanation: (A) Ectopic pregnancy[?]AIDS Related Complex:oThe patients are usually severely ill and many of them progress to AIDS in few months.oThe CD4 cell count decreases steadily when the count falls to 200, or less, clinical AIDS usually sets in.oFor this reason the case definition by CDC includes all HIV infected cases with CD4+ T cell counts of 200 or less, irrespective of clinical condition.[?]Clinical Spectrum of HIV/AIDS:oAIDS Related Complex (ARC) State: (Clinical Stage II)-Intermediate HIV infection (CD4 count: 200-500/ml)-No opportunistic infection-Early signs & symptoms of Recurrent Oral Ulcers-Moderate weight loss (<10% of body weight)-Recurrent RTI (Sinusitis, pharyngitis, Tonsillitis, Otitis Media)-Herpes zoster infection-Seborrhoic Dermatitis/pruritus-Herpes zoster-Angular Chelosis-Pulmonary tuberculosis[?]AIDS Related Complex (ARC):oPerson contacts HIV and other conditions but not AIDSoSymptoms: Chronic diarrhea, lymphadenopathy and unexplained weight lossoIf life threatening opportunistic infections develop, then individual is said to have AIDS.oHIV symptoms: AIDS related complex (ARC):-It belongs to class B of HIV symptoms.-The patients at this stage have various diseases that occur because the HI virus has weakened the immune system.oThe following HIV signs may have patients with ARC:-Long-lasting diarrhea (over four weeks)-Unintended heavy weight loss-Long lasting fever-Night sweats-Bacterial infections caused by bacteria-Bacterial blood poisoning (sepsis)-Phthisis; Herpes zoster-Oral hairy leukoplakia (whitish changes on the lateral tongue border); Fungi caused by fungioHIV symptoms - Women: vaginal inflammation caused by fungi, malignant changes in the cervix.AIDS-Related Complex (ARC):-These people develop a characteristic set of symptoms over a period of months/years.-They will test positive for the HIV virus & can have the following symptoms:-Loss of appetite, extreme loss of weight, persistent fever, night sweats, diarrhea, persistent tiredness & lack of resistance to infection.-Includes immunodeficiency, having various constitutional symptoms or minor opportunistic infections.-Typical constitutional symptoms are fatigue, unexplained fever, persistent diarrhea & parked weight loss of more than 10% of body weight.-Common opportunistic infections are oral candidiasis, herpes zoster, salmonellosis or tuberculosis. Generalized lymphadenopathy & splenomegaly are usually present.-ARC patients are usually severely ill & many of them progress to AIDS in a few months.